Lymphatic drainage of oropharynx is mainly through
1. Superficial cervical lymph nodes
2. Submandibular nodes
3. Jugulodigastric nodes
4. Jugulo-omohyoid nodes

Correct answer: 3. Jugulodigastric nodes

Explanation: Lymphatics from oropharynx drain into the upper jugular chain, particularly the jugulodigastric ( tonsilar) node. Some parts drain to the posterior cervical group also. The base of the tongue may drain bilaterally. Lymphatic drainage of the nasopharynx - upper deep cervical nodes. (Ref: Diseases of Ear, Nose and Throat, PL Dhingra; 7th edition, pg no. 271)